Site of secretion of aqueous humor
1. Pars plana
2. Pars plicata
3. Choroid
4. Trabecular meshwork

Correct answer: 2. Pars plicata

Explanation: Pars plicata is the site for production of aqueous humor It drains through trabecular meshwork and uveoscleral outflow